All are true regarding renal changes in normal pregnancy except
1. Serum creatinine decreases.
2. GFR and Renal plasma flow increase by 50%.
3. Increase in serum bicarbonate levels.
4. Increased placental metabolism of AVP may cause transient diabetes insipidus during pregnancy.

Correct answer: 3. Increase in serum bicarbonate levels.

Explanation: Serum bicarbonate levels decreased by 4 → 5m Eq / L due to decreased renal bicarbonate threshold.